A 20 year old male presents with chronic constipation, headache and palpitations. On examination he had marfanoid habitus, neuromas of tongue, medullated corneal nerve fibers and nodule of 2 x 2 cm size in It lobe of thyriod. This pt. is a case of -
1. Sporadic medullary carcinoma of thyroid
2. Familial medullary carcinoma of thyroid
3. MEN IIA
4. MEN IIB

Correct answer: 4. MEN IIB